Cough and angioedema in a patient receving ACE inhibitors is due to
1. Bradykinin
2. Renin
3. Angiotensin-II
4. All

Correct answer: 1. Bradykinin